Antibiotic prophylaxis is not recommended in
1. Making of impressions
2. Dental extraction
3. Replantation of tooth
4. Gingivectorny

Correct answer: 1. Making of impressions